A newborn child presents with inverted foot and the dorsum of the foot cannot touch the anterior tibia. The most probable diagnosis is -
1. Congenital vertical talus
2. Arthrogryposis Multiplex
3. CTEV
4. Flat foot

Correct answer: 3. CTEV

Explanation: In a newborn child, it is possible to dorsiflex and evert the foot till the dorsum of the foot touches the anterior surface of the tibia. This is not possible in CTEV. This is known as ‘dorsiflexion test' and can be used as a screening test.
Arthrogryposis Multiplex Congenita is a rare congenital disorder that is characterized by multiple joint contractures and muscle atrophy and fibrosis. It is a non-progressive disease. CTEV can be seen as one of the components of AMC. So AMC can also be the answer but since it's much rarer than CTEV and in the question, other joints involvement is not mentioned, the answer would be `CTEV'.



Congenital vertical talus is a rare disease usually affecting both feet, characterized by rigid flatfoot deformity, with the plantar aspect of the foot having a convex contour. The heel is in valgus, and the forefoot is abducted and dorsiflexed. In the newborn having this condition, the dorsal aspect of the foot may be in close approximation to the distal aspect of the tibia.
Flat foot or Pes planus is a condition characterized by varying degrees of loss of the longitudinal arch of the foot. This condition can be normal which usually disappears as the child grows, or can be pathological as seen in Congenital vertical talus, tarsal coalition, inflammatory joint disorder or a neurological disorder.